Plasma levels of hCG during pregnancy doubles every:
1. Daily
2. 2 days
3. 4 days
4. 6 days

Correct answer: 2. 2 days

Explanation: Ans. B: 2 days Pregnancy tests may be used to determine the viability of a pregnancy. Serial quantitative blood tests may be done, usually 2-3 days apart. Below an hCG level of 1,200 mIU/ ml the hCG usually doubles every 48-72 hours, though a rise of 50-60% is still considered normal. Failure to increase normally may indicate an increased risk of miscarriage or a possible ectopic pregnancy.